Quellung reaction is due to -
1. Capsular swelling
2. Mitochondrial swelling
3. RBC swelling
4. Ribosomal swelling

Correct answer: 1. Capsular swelling

Explanation: Ans. is 'a' i.e., Capsular swelling